Which of the following drugs inhibit platelet cyclooxygenase reversibly?
1. Alprostadil
2. Aspirin
3. Ibuprofen
4. Prednisolone

Correct answer: 3. Ibuprofen

Explanation: NSAID'S Inhibit COX enzyme reversibly, Except Aspirin which is an irreversible inhibitor of this enzyme . Alprostadil -PGE1 and prednisolone do not inhibit cox enzyme .